Most common site of rhabdomyosarcoma in children is -
1. Genito urinary area
2. Head and neck region
3. Trunk
4. Extremities

Correct answer: 2. Head and neck region